Content of potassium in reduced osmolarity ORS (mmol/litre) ?
1. 75
2. 65
3. 20
4. 10

Correct answer: 3. 20

Explanation: Ans. is 'c' i.e., 20